All the following are true about Papilledema except
1. It is a purely non-inflammatory phenomenon
2. Transient loss of vision occurs
3. First sign is blurring of the nasal side of the optic disc
4. Sudden loss of vision with painful eye movement

Correct answer: 4. Sudden loss of vision with painful eye movement

Explanation: D i.e. Painful eye movements and sudden loss of vision In papilloedema there is painless gradually progressive loss of vision which is usually bilateralQ which occurs after a long time only when optic atrophy sets in. In contrast, in papillitis there is LK sudden & marked painful loss of vision with ocular tenderness at insertion of MR & SRQ (medial & superior rectus), which is accompanied by pain on ocular movements, pulfrich phenomenon & RAPD Q.